'La facies sympathique' is a condition seen in cases of:
1. Hanging
2. Strangulation
3. Throttling
4. Railway accidents

Correct answer: 1. Hanging

Explanation: Ans. Hanging